The term 'Social Medicine' was first introduced by?
1. John Snow
2. David Morley
3. Jules Guerin
4. C.E.A. Winslow

Correct answer: 3. Jules Guerin

Explanation: Ans. is 'c' i.e., Jules Guerin The term social medicine was first introduced by Jules Guerin, a French physician in 1848.